In gastric outlet obstruction in a peptic ulcer patient, the site of obstruction is most likely to be:-
1. Antrum
2. Duodenum
3. Pylorus
4. Fundus

Correct answer: 2. Duodenum

Explanation: Peptic ulcer disease , Carcinoma of the stomach - can result in Gastric outlet obstruction Peptic ulcer disease, MC site of obstruction - Duodenum Carcinoma of stomach, MC site of obstruction - Pyloric region of stomach - Most common cause of Gastric Outlet Obstruction in adult patient - Carcinoma of the stomach.